Faulty registration of occlusion cannot be directly attributed to
1. Viscosity
2. Pain in the muscles of mastication
3. Pain in the TMJ
4. Skeletal class III relation

Correct answer: 4. Skeletal class III relation